Cyanide poisoning causes:
1. Histotoxic anoxia
2. Anoxic anoxia
3. Anemic anoxia
4. Stagnant anoxia

Correct answer: 1. Histotoxic anoxia

Explanation: Ans. Histotoxic anoxia